Internal pudendal artery is a branch of -
1. Anterior division of internal iliac
2. Posterior division of internal iliac
3. Anterior division of external iliac
4. Posterior division of external iliac

Correct answer: 1. Anterior division of internal iliac

Explanation: Ans. is 'a' i.e., Anterior division of internal iliac o Branches of anterior division of internal iliac artery are : (i) Superior vesical, (ii) Middle rectal, (hi) Inferior vesical (in males), (iv) Internal pudendal, (v) Vaginal (in females), (vi) Uterine (in females), (vii) Obturator, and (viii) Inferior gluteal.o Branches of posterior division are : (i) Iliolumbar, (ii) Lateral sacral, and (iii) Superior gluteal.